Amphibolic cycle is
1. Citric acid cycle
2. Glycolysis
3. Protein synthesis
4. Lipolysis

Correct answer: 1. Citric acid cycle

Explanation: All other pathways such as beta-oxidation of fat or glycogen synthesis are either catabolic or anabolic. But TCA cycle is truly amphibolic (both catabolic and anabolic) in nature. There is a continuous influx (pouring into) (Fig.18.9) and a continuous efflux (removal) of 4-carbon units from the TCA cycle (Fig.18.8). In a traffic circle, many roads converge and traffic flows towards one direction. Since various compounds enter into or leave from TCA cycle, it is sometimes called as "metabolic traffic circle". Important anabolic reactions related with citric acid cycle are a. Oxaloacetate is the precursor of aspartate b. Alpha-ketoglutarate can be made into glutamate c. Succinyl CoA is used for synthesis of heme d. Mitochondrial citrate is transported to cytoplasm, where it is cleaved into acetyl CoA, which then is the starting point of fatty acid synthesis